Which nephritogenic antigen is detected in subepithelial humps of PSGN?
1. Streptococcal pyrogenic exotoxin B
2. Nephritis associated plasmin receptor
3. M antigen
4. P antigen

Correct answer: 1. Streptococcal pyrogenic exotoxin B

Explanation: RF: Type II HSR PSGN: Type III HSR